All of the following structures passes through the guyon's canal, EXCEPT?
1. Ulnar nerve
2. Ulnar artery
3. Ulnar vein
4. Flexor carpi ulnaris

Correct answer: 4. Flexor carpi ulnaris

Explanation: Guyon's canal is located superficially on the ulnar side of the carpus. The contents of this canal are the ulnar nerve which divides into superficial and deep palmar branch, ulnar artery and vein. Guyon's canal is bounded on the ulnar side by the pisiform, the hook of hamate, and hypothenar muscles. On the dorsal side it is bounded by flexor retinaculum and on the palmar side by the palmar carpal ligament.